A 2 year old is scheduled for elective tonsillectomy and adenoidectomy. His mother tells you he has runny nose. Your would want to proceed with the surgery in all of the following situations except.
1. Child is afebrile
2. Child is  not actively wheezing
3. Child is having bilateral bronchial breath sounds
4. Child is alert and feeding normally

Correct answer: 3. Child is having bilateral bronchial breath sounds

Explanation: Presence of an acute purulent upper respiratory infection, fever or signs of lower respiratory tract infection especially in a child is sufficient to postpone the surgery.